Anterior pituitary develops from?
1. Infundinulum
2. Neuroectoderm
3. Rathke's pouch
4. None

Correct answer: 3. Rathke's pouch

Explanation: Anterior lobe (adenohypophysis) of pituitary develops from Rathke's pouch (ectodermal diverticulum of the primitive oral cavity).